Central Inhibitor of dopamine metabolism is?
1. Carbidopa
2. Deperenyl
3. Orphenadrine
4. Bromocriptine

Correct answer: 2. Deperenyl

Explanation: Ans. is 'b' i.e., Deperenyl o Central inhibitors of dopamine metabolism are selegeline (deprenyl), which inhibits MAO-B in brain and Tolcapone which inhibits COMT in brain and peripheral tissue.